Anatomical dead space is
1. 1/3rd of tidal volume
2. 2/5th of tidal volume
3. 10 ml/kg of body weight
4. 15 ml/kg of body weight

Correct answer: 1. 1/3rd of tidal volume

Explanation: Dead space is the volume of air that is inhaled that does not take part in the gas exchange, because it either remains in the conducting airways or reaches alveoli that are not perfused or poorly perfused. In other words, not all the air in each breath is available for the exchange of oxygen and carbon dioxide Ref: guyton and hall textbook of medical physiology 12 edition page number: 324,325,326